Internal thoracic artery is a branch of-
1. Common carotid artery
2. Brachiocephalic trunk
3. Subclavian artery
4. External carotic artery

Correct answer: 3. Subclavian artery

Explanation: Ans. is 'c' i.e., Subclavian artery Internal thoracic arteryo It arises from 1st part of subclavian artery and descends through anterior ends of upper six intercostal spaces lying 1[?]25 cm lateral to sternal margin.o It divides into two terminal branches, musculophrenic and superior epigastric in (f intercostal space,o Branches of internal thoracic artery are (i) mediastinal branches, (ii) pericardial branches, (iii) sternal branches, (iv) pericardiophrenic branches, (v) anterior intercostal arteries (in upper six spaces), (vi) perforating branches, and (vii) two terminal branches, musculophrenic and superior epigastric.